Which among the following is referred to as alkali reserve of the body?
1. Bicarbonate
2. Carbonic acid
3. Water
4. All of the above

Correct answer: 1. Bicarbonate

Explanation: Sodium bicarbonate and carbonic acid are the major buffers of the body, but the concentration of bicarbonate is 20 times higher than carbonic acid. Hence, bicarbonate is known as alkali reserve of the body.